Central Chemoreceptors are mot sensitive to following changes in blood:
1. TPCO2
2. i,PCO2
3. TH'
4. TP02

Correct answer: 1. TPCO2

Explanation: A i.e. TPCO2